A case of polytrauma with blunt abdominal injury presents to the casualty. The first investigation to evaluate his abdomen is -
1. USG
2. CT Scan
3. CompleteHemogram
4. Abdominal X-ray

Correct answer: 1. USG

Explanation: Ans. is 'a' i.e., USG o Has been explained in previous sessions